Periodontal abscess is formed in
1. Periapical area
2. Alveolar bone laterally
3. Periodontal ligament laterally
4. All of the above

Correct answer: 3. Periodontal ligament laterally